Which protein serum levels helps in distinguishing from acute and chronic liver failure
1. Aminotransaminase
2. Alkaline phosphatase
3. Bilirubin
4. Albumin

Correct answer: 4. Albumin

Explanation: Albumin is essential for maintaining the oncotic pressure in the vascular system. A low serum albumin indicates poor liver function. Decreased serum albumin levels are not seen in acute liver failure because it takes several weeks of impaired albumin production before the serum albumin level drops.serum albumin level is greatly decreased in chronic liver disease Ref Davidson edition23rd pg898